The retinal capillaries are distinguished by having all, except:
1. Widening of the capillary calibre in the periphery
2. Capillary free zone around the veins
3. Superficial network
4. Deep denser network

Correct answer: 2. Capillary free zone around the veins

Explanation: Ans. Capillary free zone around the veins